The definition of prolonged seizures following ECT is:
1. >90 seconds
2. >150 seconds
3. >120 seconds
4. >180 seconds

Correct answer: 4. >180 seconds

Explanation: Prolonged seizures - seizures lasting more than 180 seconds * Prolonged seizures can be terminated either with additional doses of the barbiturate anesthetic agent or with IV diazepam * Methohexital can also be used to abort prolonged seizures in ECT or to limit postictal agitation. Extra edge: Tardive Seizures Additional seizures appearing some time after the ECT treatment This may occur in patients with preexisting seizure disorders